Which color is given to the “progress of treatment" cephalometric tracing, according to American Board of Orthodontics?
1. Black
2. Blue
3. Red
4. Green

Correct answer: 2. Blue

Explanation: In order to facilitate identification of consecutive cephalogram, the following colour code for tracing has been suggested by American Board of Orthodontics.